This patient, previously healthy, came with dyspnea and low grade fever since 4 months. His lungs are clear. JVP is normal. ECG showed low voltage complexes. What is the possible diagnosis?
1. Syphilitic aortic aneurysm
2. Hypertrophic cardiomyopathy
3. Rheumatic mitral stenosis
4. Tuberculous pericardial effusion

Correct answer: 4. Tuberculous pericardial effusion

Explanation: The presence of low grade fever and dyspnea indicates an infective pathology. CXR shows an increased CT Ratio which could be Tuberculous pericardial effusion. The diagnosis is given more credence due to ECG showing low voltage ECG which is seen with an effusion. Disease Features Syphilitic Aortic aneurysm Vasa vasorum undergo hyperplastic thickening of their walls, restricting blood flow and causing ischemia of outer 2/3rd of the aortic wall. 60% of thoracic aortic aneurysms involve the aortic root and/or ascending aorta, 40% involve the descending aorta, 10% involve the arch, and 10% involve the thoraco-abdominal aorta Hypertrophic cardiomyopathy Enlarged heart T wave inversion due to sub-endocardial ischemia Deep Q waves in lateral and inferior leads to septal hypertrophy Rheumatic Mitral Stenosis History of gradual progression of DOE(dyspnea on exertion), orthopnea. Pulmonary edema is seen on CXR Straightening of left heart border ECG showing: P mitrale or P pulmonale